Pentavalent immunoglobulin is-
1. IgA
2. IgG
3. IgM
4. IgE

Correct answer: 3. IgM